A classical expansile lytic lesion in the transverse process of a vertebra is seen in:
1. Osteosarcoma
2. Aneurysmal bone cyst
3. Osteoblastoma
4. Metastasis

Correct answer: 2. Aneurysmal bone cyst

Explanation: (b) Aneurysmal bone cystLytic Lesion in Posterior Element of Vertebrae (i.e. spinous process, transverse process, and pedicle) Expansile and Purely lytic, Aneurysmal Bone Cyst, Non-expansile and partly or extensively ossified, Osteoblastoma Body of vertebra is involved in GCT